Superoxol test is positive in:
1. N. gonorrhoeae
2. N. meningitides
3. N. lactamica
4. All of the above

Correct answer: 1. N. gonorrhoeae

Explanation: Superoxol test Superoxol is an additional spot test that may be helpful in the presumptive identification of N. gonorrhoeae. Superoxol is 30% hydrogen peroxide, in contrast to the 3% solution that is used in the catalase test. Other Neisseria species and Moraxella catarrhalis are either negative for this test or give a weak, delayed reaction. Positive in N.gonorrhoeae Negative in N.meningitidis & N.lactamica